For the evaluation of blunt abdominal trauma, which of the following imaging modalities is ideal?
1. Ultrasonography
2. Computed tomography
3. Nuclear scintigraphy
4. Magnetic resonance imaging

Correct answer: 2. Computed tomography